Regional organization of WHO is situated at all the following places except
1. Congo
2. China
3. Copenhagen
4. Manila

Correct answer: 2. China

Explanation: WHO regional organizationsSoutheast AsiaNew Delhi (India)AfricaBrazzaville CongoAmericasWashington DC (USA)EuropeCopenhagen (Denmark)Eastern MediterraneanAlexandria (Egypt)Western PacificManila (Philippines)Park 23e pg: 921